Incubation period of scabies is:
1. 7 days
2. 2 weeks
3. 4 weeks
4. 2-3 days

Correct answer: 3. 4 weeks

Explanation: Scabies - Causative agent: Sarcoptes Scabies Var Hominis Incubation Period: 3-4 weeks after the infection is acquired. If pt. reinfested- ICP is 2 days